SAFE strategy use in
1. Inclusion conjunctivitis
2. Ophthalmia neonatorum
3. Trachoma
4. Haemorrhagic conjunctivitis

Correct answer: 3. Trachoma

Explanation: SAFE strategy - for prophylaxis against trachoma and prevention of blindness S - Surgery for trichiasis - Tertiary prevention A - Antibiotic - AZITHROMYCIN (D/O/C) - secondary prevention F - Facial hygiene - primary prevention E - Environmental changes - primordial prevention